The most common cause of diarrhea in children is-
1. Vibrio cholera
2. E. coli
3. Rotavirus
4. Pneumococcus

Correct answer: 3. Rotavirus

Explanation: Ans. is 'c' i.e., Rotavirus * Rotavirus is the single most common cause of diarrhea amongst children in both developed and developing world.* ETEC is the single most common cause of bacterial diarrhea amongst children in the developing world.* ETEC is the most common bacterial cause for Traveler's diarrheaQ.